Propronolol is useful in all except -
1. Atrial flutter
2. Parkinsonian tremor
3. Thyrotoxicosis
4. HOCM

Correct answer: 2. Parkinsonian tremor

Explanation: Ans. is 'b' i.e., Parkinsonian tremor o Propranolol inhibits the tremors which are due to overactivity of adrenergic system b 2-receptor), e.g. in thyrotoxicosis. o But, parkinsonian tremor and intention tremor are not due to sympathetic overactivity --> b -blocker has no role. b -blockers are DOC for HOCM and for controling the ventricular rate in atrial fibrillation.